Percentage of children with recurrence in febrile seizures –
1. 5–10%
2. 10–20%
3. 20–25%
4. 25–50%

Correct answer: 4. 25–50%

Explanation: Recurrent febrile seizures occur in 30-50% of cases.